Hepatitis C virus is a ?
1. Togavirus
2. Flavivirus
3. Filovirus
4. Retrovirus

Correct answer: 2. Flavivirus

Explanation: Ans. is 'b' i.e., Flavivirus